All of the following statements are true regarding sumatriptan except
1. It has 99% oral bioavailability
2. It is contraindicated in coronary artery disease
3. It constricts cranial vessels
4. It is selective 5-HT 1B/ID receptor agonist

Correct answer: 1. It has 99% oral bioavailability

Explanation: TRIPTANS Sumatriptan is the drug of choice for aborting acute attack of migraine. It acts as a selective agonist at 5 HT1B/1D receptors. This result in constriction of cranial vessels. It also suppresses the vomiting of migraine. It is a short acting drug and has low oral bioavailability. Frovatriptan is the longest acting and rizatriptan is the fastest acting congener. All of these drugs can cause coronary vasospasm and are contraindicated in ischemic heart disease. Triptans are also contra-indicated in patients with hypertension, epilepsy, pregnancy, liver and renal impairment. Triptans and ergotamine should not be administered within 24 hours of each other.